The elimination of alcohol follows:
1. Zero order kinetics
2. 1st order kinetics
3. 2nd orders kinetics
4. 3rd orders kinetics

Correct answer: 1. Zero order kinetics